During the dark phase of visual cycle, which form of vitamin A combines with opsin to make Rhodopsin:
1. All trans-Retinaldehyde
2. all trans-Retinol
3. 11-cis-Retinaldehyde
4. 11-cis-Retinol

Correct answer: 3. 11-cis-Retinaldehyde

Explanation: Ans. C. 11-cis-RetinaldehydeFirst know about the forms of Vitamin Aa. Retinol: A primary alcohol containing a bionone ring with an unsaturated side chain.b. Retinal: It is an aldehyde which is derived from the oxidation of alcohol. It can exist in two formsi. 11-cis retinalii. 11-trans retinalc. Retinoic acid The acid derived from oxidation of retinal(Oxidation) (Oxidation)Retinol -------- Retinal ---------- Retinoic acid(Retinaldehyde)